Oral lesions of secondary syphilis include all, except:
1. Snail track ulcers
2. Mucous patches
3. Chancre of tongue
4. Hutchinson’s wart

Correct answer: 3. Chancre of tongue